Double apical impulse:
1. MR
2. AR
3. AS
4. MS

Correct answer: 3. AS

Explanation: Ans. C i.e. AS Aortic stenosis Features: - Sustained heaving apex, - Angina, - Sudden death Degenerative calcification is a cause of AS Exercise testing is C/ I in AS